An axillary abscess is safely drained through which approach?
1. Medial
2. Posterior
3. Lateral
4. Floor

Correct answer: 4. Floor

Explanation: An axillary abscess should be incised through the floor of the axilla, midway between the anterior and posterior axillary folds, and nearer to the medial wall in order to avoid injury to the main vessels running along the anterior, posterior and lateral walls. Axilla is a four sided pyramidal space above the armpit between the chest wall and upper part of the arm. It has an anterior wall, posterior wall, medial wall, lateral wall, base and apex. Contents of axilla includes axillary vessels, cords of brachial plexus, axillary lymph nodes, axillary tail of Spence, fat, intercostobrachial nerve and nerve to serratus anterior.